All the following conditions fall under high risk category except
1. Diabetes
2. Epilepsy
3. BMI of 24
4. Elderly women

Correct answer: 3. BMI of 24

Explanation: Women with Abnormal weight (BMI 18.5kg/m2 or 25kg/m2) who become pregnant and their fetuses are predisposed to various serious pregnancy-related complications. Moreover, long-term maternal and fetal effects include significant and increased morbidity and mortality rates.The National Institutes of Health (2000) classifies adults according to BMI as follows: normal is 18.5 to 24.9 kg/m2, overweight is 25 to 29.9 kg/m2, and obese is >=30 kg/m2. Obesity is further divided into: class 1 is 30 to 34.9 kg/m2, class 2 is 35 to 39.9 kg/m2, and class 3 is >=40 kg/m2. Class 3 obesity is often referred to as morbid obesity, with super - morbid obesity describing a BMI >=50 kg/m2.Reference: William's obstetrics; 25th edition; Chapter 8; Preconceptional care